Most effective way of preventing hospital infection is:
1. Fumigation
2. Sterilization
3. Hand washing
4. Early diagnosis and treatment

Correct answer: 3. Hand washing

Explanation: Ans. C. Hand washingHand of healthcare personnel ae the most important reservoir for transmission of healthcare associated infections